During rapid sequence induction of anaesthesia:
1. Sellick's maneuver is not required
2. Pre-oxygenation is mandatory
3. Suxamethonium is contraindicated
4. Patient is mechanically ventilated before endotracheal intubation

Correct answer: 2. Pre-oxygenation is mandatory

Explanation: B i.e. Preoxygenation is mandatory